During reconstruction of an amputated limb which of the following is done first?
1. Arterial repair
2. Venous repair
3. Fixation of the bone
4. Nerve anastomoses

Correct answer: 3. Fixation of the bone

Explanation: Ans. (c) Fixation of the boneRef Conner Orthopaedic Surgery Page 487Order of Repair of Injury in extremity:* Bone* Tendon (Extensor before Flexors)* Artery (3rd structure is artery)* Nerve* Vein* Skin